Shine dalgarno in prokaryotes is associated with?
1. Transcription
2. Translation
3. Replication
4. Translocation

Correct answer: 2. Translation

Explanation: Translation REF: Harper 27`h ed p. 372 Shine dalgarno sequence is a sequence of nucleotide bases (5 - UAGGAGG - 3) located 6-10 base upstream of AUG codon on mRNA molecule. It helps in initiation of translation in prokaryotes